An ultrashort acting β–blocker devoid of partial agonistic or membrane stabilizing action is:
1. Esmolol
2. Timolol
3. Atenolol
4. Pindolol

Correct answer: 1. Esmolol